Radiographic angulation recommended by the IADT:
1. 90° horizontal angle with the central beam through the tooth
2. Occlusal view
3. Lateral view from the medial or distal aspect of the tooth
4. All of the above

Correct answer: 4. All of the above

Explanation: It is of importance to take radiographs in more than one angle to ascertain the extent of the injury. Radiographs of the cheek and lip lacerations are also indicated to search for embedded tooth fragments. The three radiographic angulations recommended by the International Association of Dental Traumatology (IADT) are as follows:

Ninety-degree horizontal angle, with central beam through the tooth.
Occlusal view.
Lateral view from the mesial or distal aspect of the tooth.